Which of the following is NOT an adverse effect of excessive mineralocorticoid action ?
1. Na+   and water retention
2. Acidosis
3. Aggravation of CHF associated myocardial fibrosis
4. Rise in blood pressure

Correct answer: 2. Acidosis